Quinidine exerts its action on the heart by
1. Ca2+ channel blockade
2. Na+ channel blockade
3. K+ channel opening
4. Cl- channel opening

Correct answer: 2. Na+ channel blockade

Explanation: It is d-isomer quinidine is used as an antiarrhythmic drug. Quinidine blocks myocardial Na channels. Class 1a group of drugs- quinidine, procainamide, disopyramide Ib: Lidocaine, phenytoin Ic-encainide, flecainide Ref: KD tripathi 8th ed.